Sullivan's Index is
1. Disability Free Life expectancy(DFLE)
2. Disability Adjusted Life expectancy(DALE)
3. Quality Adjusted Life Expectancy(QALE)
4. Health Adjusted Life Expectancy(HALE)

Correct answer: 1. Disability Free Life expectancy(DFLE)

Explanation: Sullivan's Index : Life expectancy - Duration of disability.